Which of the following is a false statement about Type I respiratory failure:
1. Decreased Pa02
2. Decreased PaC02
3. Normal PaC02
4. Normal A-a gradient

Correct answer: 4. Normal A-a gradient

Explanation: A-a Gradient is the difference between the Alveolar PO2 (A) and arterial PO2 (a). The a-a gradient indicates how well O2 is equilibrating across the blood air barrier. Acute respiratory failure is defined as a lung disorder, wherein adequate functioning of lung, to meet the necessary demands of an individual is not met. It is unable to maintain normal levels of arterial gas in the blood. Respiratory failure is of 3 types, namely Type 1 respiratory failure or Oxygenation Failure Type 2 respiratory failure or Ventilation Failure Type 3 respiratory failure or Combined Respiratory Failure Ref: NMS Medicine By Susan. D. Wolfsthal, Page 63 ; High-Yield Physiology, Part 845, Volume 2008, By Ronald W. Dudek, Page 59 ; Clinical Llaboratory Medicine By Kenneth D. McClatchey, 2202, Page 375